Largest % of blood volume in
1. Aorta
2. Artery /Arterioles
3. Venules / Veins
4. Capillaries

Correct answer: 3. Venules / Veins

Explanation: At rest,At least 50% of the circulating blood volume is in the systemic veins, 12% is in the heart cavities, and18% is in the low-pressure pulmonary circulation.Only 2% is in the aorta, 8% in the arteries,1% in the arterioles, and5% in the capillariesRef: Ganong's Review of Medical Physiology Twenty-Third Edition Page No:543